Treatment of choice of small preputial Penile carcinoma is
1. Total Penectomy
2. Partial Penectomy
3. Wide excision
4. Emasculation

Correct answer: 3. Wide excision

Explanation: Wide local excision with 2 cm margin is done for small preputial penile carcinoma.